In spinal tuberculosis, the commoner route of spread is:
1. Direct spread
2. Blood
3. Lymphatics
4. All of the above

Correct answer: 2. Blood

Explanation: Ans. B: Blood